Invesstigation of choice for interstitial disease is
1. Chest X-ray
2. HRCT
3. Gallium-67 DTPA scan
4. MRI

Correct answer: 2. HRCT